Upper motor neuron lesion is characterized by:
1. Weakness and Spasticity
2. Fasciculations
3. Rigidity
4. Localized muscle atrophy

Correct answer: 1. Weakness and Spasticity

Explanation: Ans. A i.e. Weakness and spasticity